Which of the following connective tissue disorder is associated with gastroesophageal reflux?
1. SLE
2. Scleroderma
3. Behcet's syndrome
4. Dermatomyositis

Correct answer: 2. Scleroderma

Explanation: Scleroderma is systemic disease accompanied by esophageal abnormalities in approximately 80% of patients. The esophageal lesion consists of atrophy of the smooth muscles, manifested by weakness in the lower two-third of the esophageal body and incompetence of the LES. Gastroesophageal reflux is due to incompetent LES combined with poor esophageal clearance which inturn leads to severe reflux esophagitis and stricture formation. Ref: Schwartz 9/e, Page 846; Harrison 17/e, Page 1850.